15 mm/cm hyperpigmented lesion on shoulder enlarging and hair over it ?
1. Melanocytic nevus
2. Becker nevus
3. Sebaceous nevus
4. Comedo nevus

Correct answer: 2. Becker nevus

Explanation: Ans. is 'b' i.e., Becker nevus Becker Nevus Usually starts in adolescence as an irregular smooth hyperpigmented macule. Usually involves shoulder, anterior chest and scapular region, although any part of the may be involved. Slowly grows in size of a palm wile acquiring thick dark hair. Often lesion resembling acne vulgaris in different stages may appear on surface. No treatment is required.